Replication and transcription are similar processes in mechanistic terms because both :
1. Use RNA primers for initiation.
2. Use deoxyribonucleotides as precursors.
3. Are semi conserved events
4. Involve phosphodiester bond formation with elongation occurring in the 5' - 3' direction

Correct answer: 4. Involve phosphodiester bond formation with elongation occurring in the 5' - 3' direction

Explanation: . Involve phosphodiester bond formation with elongation occurring in the 5'- 3' direction. In both DNA and RNA synthesis, the general steps of initiation, elongation and termination occur in 5'- 3' direction with the formation of phosphodiester bonds. REF: Lippincott book of biochemistry 6th ed.